Study of death in all its aspects is known as -
1. Trichology
2. Ornithology
3. Odontology
4. Thanatology

Correct answer: 4. Thanatology

Explanation: Thanatology is the branch of science which deals with study of death.